A child presents with pellagra like dermatitis and aminoaciduria. Two siblings have the condition and it is absent in two sibling while it is absent in both parents. Which of the following condition is most likely?
1. Hartnup's disease
2. Alkaptonuria
3. Phenylketonuria
4. Von gierke's disease

Correct answer: 1. Hartnup's disease

Explanation: Hartnup disease (also known as "pellagra-like dermatosis" and "Hartnup disorder") is an autosomal recessivemetabolic disorder affecting the absorption of nonpolar amino acids (particularly tryptophan that can be, in turn, converted into serotonin, melatonin, and niacin). Niacin is a precursor to nicotinamide, a necessary component of nad+ . Hartnup disease is caused by alterations (mutations) in the SLC6A19 gene. Reference: GHAI Essential pediatrics, 8th edition